Pariaeriole space is formed in spleen by
1. T lymphocyte
2. B lymphocyte
3. Rete
4. Macrophage

Correct answer: 1. T lymphocyte

Explanation: Lymphocytes that aggregate around the central artery (mostly T-lymphocytes) create the periarterial lymphatic sheath(ref:Gray's Anatomy 40/e p1194)